FALSE for delusions
1. Held with absolute conviction
2. Usually false
3. Not amenable to reasoning
4. Shared by those of a common social background

Correct answer: 4. Shared by those of a common social background

Explanation: Ans. D i.e. Shared by those of a common social background